Mechanism of action of asprin is :
1. Inhibits COX–2 preferentially
2. Inhibits COX–1 preferentially
3. Inhibits COX 1 and COX 2 reversibly
4. Inhibits COX 1 and COX 2 irreversibly

Correct answer: 4. Inhibits COX 1 and COX 2 irreversibly